Personality type associated with coronary artery disease :
1. A
2. B
3. C
4. D

Correct answer: 1. A

Explanation: Ans. A. APsychosocial factors, including type A personality, anger, hostility, and anxiety, have been implicated in the pathogenesis of cardiovascular disease.